Lesion of which tract leads to voluntary skilled movements?
1. Corticospinal tract
2. Rubrospinal tract
3. Tectospinal tract
4. Lateral spinothalamic pathway

Correct answer: 1. Corticospinal tract

Explanation: Ans. A. Corticospinal tract* The corticospinal tract (along with the corticobulbar tract) is the primary pathway that carries the motor commands that underlie voluntary movement.* The lateral corticospinal tract is responsible for the control of the distal musculature and the anterior corticospinal tract is responsible for the control of the proximal musculature.* A particularly important function of the lateral corticospinal tract is the fine control of the digits of the hand.* The corticospinal tract is the only descending pathway in which some axons make synaptic contacts directly onto alpha motor neurons.* This direct cortical innervation presumably is necessary to allow the powerful processing networks of the cortex to control the activity of the spinal circuits that direct the exquisite movements of the fingers and hands.